Mifepristone & misoprostol for MTP is allowed till -
1. 6 weeks
2. 7 weeks
3. 9 weeks
4. 12 weeks

Correct answer: 3. 9 weeks

Explanation: Ans. is c i.e., 9 weeks Medical method for first trimester MTP* It is now officially allowed in India up to 9 weeks (63 days) of gestation.* Method: a combination of RU486 followed by PGE1.* Mifepristone, also known as RU-486, is an antiprogesterone compound* It acts preferentially on target cells of the endometrium and deciduas, counteracting the effect of progesterone, which is essential for the establishment and maintenance of pregnancy.* It affects the pituitary gonadotropic cells, producing a remarkable decrease of LH secretion, leading to luteolysis.* It causes softening and ripening of the cervix and produces increased contractibility of the myometrium.* It causes a marked increase in sensitivity of the uterus to exogenous PGs.Misoprostol (PGE1)* It acts by (a) enhancing uterine contraction and thus helping expulsion of the products of contraception and (b) causing cervical ripening or priming. It is used orally as tablets and vaginally as a suppository. The success rate of this combination is 96%.* Fewer than 5% of women undergoing medical methods of abortion will need surgical intervention (check curettage) for incomplete abortion.* For the medical abortion up to 9 completed weeks since last menstrual period, mifepristone plus PGs are used; the dosage regimens recommended by the World Health Organization are as follows:* 200 mg mifepristone followed after 36-48 h by 800 mg vaginal misoprostol or 400 pg oral misoprostol